Which is the middle and large carpal bone -
1. Scaphoid
2. Pisiform
3. Hamate
4. Capitate

Correct answer: 4. Capitate

Explanation: Ans. is 'd' i.e., Capitate o Among the given options only capitate lies in middle (not lateral or medial) and it is the largest carpal boneo Scaphoid is lateral most bone in proximal row, pisiform is medial most bone in proximal row and hamate is medial most bone in distal row.Carpal bonesProximal Row (Lateral to medial)Distal Row (Lateral to medial)o Scaphoido Lunateo Triquetralo Pisiformo Trapeziumo Trapezoido Capitateo Hamateo Capitate is the largest carpal bone, first carpal bone to ossify & articulates with maximum number of bones.